Cells are most radiosensitive in:
1. S-phase
2. M-phase
3. G1-phase
4. G0–phase

Correct answer: 2. M-phase

Explanation: Cells are most radiosensitive in G2-M interphase.
Cells are least radiosensitive in S phase.